True about vitamin K-
1. |ed synthesis of factor II, VII, IX & X
2. Doesn't require exposure to sunlight
3. Cause hemolytic anemia
4. All

Correct answer: 4. All

Explanation: Ans. is 'a' i.e., |ed synthesis of factor II, VII, IX & X; 'b' i.e., Doesn't require exposure to sunlight; `c' i.e., Cause hemolytic anemia o Half life of vit K is 72 hours - Mahenderbhan Singh 5thie - 348 Vit K acts as a cofactor at a late stage in the synthasis of coagulation factors by liver - Prothrombin (factor II), Factor VII, IX and X (also protein 'C' & Protein 'S'). Vit K3 (Menadione) can cause hemolysis-contraindicated in G-6-PD deficiency and neonates. o Vitamin D requires sun exposure (not vitamin K).